The following host tissue responses can be seen in acute infection, except:-
1. Exudation
2. Vasodilation
3. Margination
4. Granuloma formation

Correct answer: 4. Granuloma formation

Explanation: Granuloma formation is characteristic of chronic granulomatous inflammation and is not seen in acute inflammation.